Which of the following drug is contraindicated in a patient of myasthenia gravis:
1. Succinylcholine
2. Tubocurare
3. Pyridostigmine
4. Halothane

Correct answer: 2. Tubocurare

Explanation: Ans. B: Tubocurare Drugs contra-indicated in myasthenia gravis Absolute contraindication: - Curare - D-penicillamine Botulinum toxin - Interferon alpha Contraindicated -- Antibiotics -- aminoglycosides (gentamycin, kanamycin, neomycin, streptomycin, tobramycine); macrolides (erythromycin, azithromycin, telithromycin,) Fluoroquinolones (ciprofloxacin, norfloxacin, levofloxacin); -- Quinine, quinidine, procainamide, -- Magnesium salts, iv magnesium replacement. Caution- may exacerbate weakness in some myasthenics - Calcium channel blockers - Beta blockers - Lithium - Statins Iodinated contrast agents